Which of the following statements about omental infarction are true?
1. Patients usually present with fever and lassitude
2. Diagnosis is made clinically
3. Most cases do not require surgery
4. Surgical resection is indicated in all cases

Correct answer: 3. Most cases do not require surgery

Explanation: Omental Infarction Segment of Omentum susceptible to infarction as a result of torsion or venous thrombosis TYPES:- Primary omental infarction Secondary omental infarction Obesity Local trauma Chronic cough Hyperperistalsis Occupational vibrations Excessive exercise Cyst and tumor Internal hernia Diverticulitis Vasculitis and hypercoagulation status Omental torsion Right heart failure Depending on the location of the infarcted tissue, symptoms may mimic acute appendicitis, acute cholecystitis, acute diverticulitis, or perforated ulcer The diagnosis is usually inferred from abdominal CT scan which shows a localized inflammatory-appearing mass of the omentum. Surgical resection can hasten recovery, but clinically stable patients can be managed conservatively.